In neonate with meningitis caused by gram-positive cocci with a CAMP test positive, most common source of infection is
1. Genital tract
2. Respiratory tract
3. Hematogenous
4. May be any

Correct answer: 1. Genital tract

Explanation: Group B streptococcus or streptococcus agalactiaeMajor cause of neonatal sepsis including pneumonia meningitisPresent in vaginal and oral floraGram +ve cocci in chainCatalase negativeBacitracin resistantCAMP test positive(Refer: Nelson's Textbook of Pediatrics, SAE, 1st edition, pg no. 1341 - 1342)